Formula to calculate minute ventilation volume
1. TV x RR
2. Fio2/PEEP
3. TV x (RR-dead space)
4. TV + (RR-dead space)

Correct answer: 1. TV x RR

Explanation: Minute respiratory volume- The minute respiratory volume I the total amount of new air moved into the respiratory passage each minute and is equal to tidal volume times the respiratory rate per minute. The normal tidal volume is about 500 milliliters, and the normal respiratory rate is about 12 breaths per minute. Therefore, the minute respiratory volume averages about 6-8L/min. A person can live for a short period with a minute volume as low as 1.5L/min and a respiratory rate of only 2 to 4 breaths per minute. Respiratory minute vol: - (TV x RR) = 6 - 8 L / min